About retinitis pigmentosa, all are true EXCEPT:
1. Ring scotoma
2. Central scotoma
3. Waxy pallor of disc
4. Bone spicule pigmentation in retina

Correct answer: 2. Central scotoma

Explanation: Ans. B i.e. Central scotoma Retinitis pigmentosa Feature: Loss of visual acuity Microscopy: Irregular black deposits of clumped pigment in the peripheral retina (Bone spicules)